Which neck swelling moves on swallowing
1. Submandibular salivary gland
2. Thyroid gland
3. Supraclavicular lymph gland
4. Sternomastoid tumour

Correct answer: 2. Thyroid gland

Explanation: Ans. is 'b' i.e., Thyroid gland